Function of T-lymphocyte is/are -
1. Production of interferon
2. Lymphokine production
3. Rosette formation
4. All of the above

Correct answer: 4. All of the above

Explanation: Ans. is 'd' i.e., All of the above